Not true about facial vein is
1. Drains in EJV
2. Largest vein of face
3. Formed from angular vein
4. Has no valves

Correct answer: 1. Drains in EJV

Explanation: The facial veinn is the largest vein of the face with no valves. It begins as the angular vein at the medial angle of eye. It is formed by the union of the supratrochlear and supraorbital veins. The angular vein continues as the facial vein, running downwards and backward behind the facial artery but with a straighter course. It crosses the anteroinferior angle of the masseter, pierces the deep fascia, crosses the submandibular gland, and joins the anterior division of the retromandibular vein below the angle of the mandible to form the common facial vein The latter drains into the internal jugular vein. It is represented by a line drawn just behind the facial artery. Ref BDC voume3,sixth edition pg 72